Which of the following type of joint is classified as immovable joint?
1. Sutures
2. Gomphoses
3. Synchondroses
4. All of the above

Correct answer: 4. All of the above

Explanation: Immovable joints or synarthroses are classified into three types: sutures, gomphoses and synchondroses. Articular surfaces of the two bones are held together by fibrous connective tissue.Sutures are fibrous joints with closely united opposing surfaces such as the coronal suture.Gomphoses are joints which has a conical process inserted into a socket like portion.Synchondroses are temporary joints in which the intervening hyaline cartilage converts to bone by adulthood.Ref: Straight A's in Anatomy and Physiology By Lippincott Williams & Wilkins page 35.